Lamellar inclusion bodies are present in?
1. Type I cells
2. Type II cells
3. Both of the above
4. None of the above

Correct answer: 2. Type II cells

Explanation: The alveoli are lined by two types of epithelial cells. Type I cells are flat cells with large cytoplasmic extensions and are the primary lining cells of the alveoli, covering approximately 95% of the alveolar epithelial surface area. Type II cells (granular pneumocytes) are thicker and contain numerous lamellar inclusion bodies. Ref: Ganong's Review of Medical Physiology 23rd edition, Chapter 35.